Calculated positive predictive value of ELISA test for HIV with sensitivity 99%, specificity 99% , prevalence of HIV in population 5/1000 ?
1. 10
2. 70
3. 33
4. All

Correct answer: 3. 33

Explanation: Ans. is 'c' i.e., 33